Visual analogue scale (VAS) most widely used to measure
1. Sleep
2. Sedation
3. Pain intensity
4. Depth of Anaesthesia

Correct answer: 3. Pain intensity

Explanation: C i.e. Pain intensity